Bundle of kent seen in:
1. Brugada syndrome
2. Romano - ward syndrome
3. Wolff-parkinson-white syndrome
4. Jervell and lange - Nielsen syndrome

Correct answer: 3. Wolff-parkinson-white syndrome

Explanation: Bundle of Kent is an abnormal conducting pathway that connects atria directly to ventricles, thereby bypassing the AV node (no A -V nodal delay) Thus, P - R interval on ECG is shortened - k/a delta wave - Triad of WPW: - Short PR interval - Wide QRS complex - Delta wave